according NHS protocol time frame of surgery is ?
1. sign out -sign in -time out
2. sign out-time out-sign in
3. sign in - time out- sign out
4. sign in -sign out-time out

Correct answer: 3. sign in - time out- sign out

Explanation: ref : who.gov / schwartz text book general surgery